The break up time test is performed to evaluate the function of:
1. Lacrimal gland
2. Submandibular gland.
3. Parotid gland.
4. All of the above.

Correct answer: 1. Lacrimal gland

Explanation: The break uptime test is performed to evaluate the function of Lacrimal gland.